Reversed splitting of S2 heart sound is heard in
1. Ventricular septal defect
2. RBBB
3. Acute pulmonary embolism
4. LBBB

Correct answer: 4. LBBB

Explanation: Reversed splitting of heart sound S2 is seen in:

Aortic stenosis
PDA
Complete LBBB
WPW syndrome
Chronic ischemic heart disease
Post stenotic dilation of aorta secondary to aortic stenosis